Weight loss is seen with all except?
1. GLP-1 Agonists
2. SGLT-2 Inhibitors
3. Pramlintide
4. DPP-4 inhibitors

Correct answer: 4. DPP-4 inhibitors

Explanation: Effect of anti-diabetics on weight DPP-4 inhibitors is weight neutral. Metformin ,GLP-1 Agonists, SGLT2 inhibitors and Pramlintide promote weight loss. Sulfonylureas, insulin and Pioglitazone are associated with weight gain.